Most common nerve to get entrapped in laparoscopic hernial repair
1. Ilioinguinal
2. Iliohypogastric
3. Lateral cutaneous nerve of thigh
4. Femoral nerve

Correct answer: 3. Lateral cutaneous nerve of thigh

Explanation: Entrappment of lateral cutaneous nerve of thigh leads to meralgio porestheica.
m/c nerve entrapped in open hernial surgery is iliohypogastric